Ureter is identified at operation by :
1. Rich arterial plexus
2. Peristaltic movement
3. Retation to lumber ptexus
4. Accompanied by renal vein

Correct answer: 2. Peristaltic movement

Explanation: Peristaltic movement At operation ureter is recognized by : 1. Its pale glistening appearance 2. By a fine longitudinal plexus of vessels on its surface 3. More particularly by its peristaltic movement 4. By palpation between finger and thumb as a firm cord which. when escapes. Absence of pulsation does not serve to identify a structure as ureter because veins and obliterated umblical artery are also non pulsatile.